Fishy net pattern is seen in
1. Pemphigus vulgaris
2. Dariers disease
3. Bullous pemphigoid
4. Dermatitis herpetiformis

Correct answer: 1. Pemphigus vulgaris

Explanation: In Direct immunofluorescence of skin biopsy specimen intercellular IgG -fishnet pattern throughout the epidermis is seen in pemphigus vulgaris Linear IgG and C3 at basement membrane zone is seen in bullous pemphigoid. Granular IgA at basement membrane zone and tips of dermal papillae is seen in Dermatitis herpetiformis IADVL's concise textbook of dermatology page 1073